3
rd
 cranial nerve suppliesa) Lateral rectusb) Medial rectus, Levator palpabrae superiorisc) Superior rectusd) Superior obliquee) Inferior oblique
1. bce
2. bc
3. acd
4. ace

Correct answer: 1. bce

Explanation: Occulomotor (3rd) nerve supplies all extraocular muscles (except superior oblique and lateral rectus)and levator palpebrae superioris.
Occulomotor nerve also supply the sphinctor pupillae and ciliary muscle through the parasympathetic general visceral efferent fibers.